Which of the following symptom is likely to be of organic origin?
1. Delusion of guilt
2. Auditory hallucinations
3. Formal thought disorder
4. Prominent visual hallucination

Correct answer: 4. Prominent visual hallucination

Explanation: Organic brain syndromes are characterized by visual hallucinations, in distinction to schizophrenia which is characterized by auditory hallucinations. However 5% of Schizophrenics presents with visual hallucinations. Delusion of guilt is indicative of severe depression. Ref: The Patient: Biological, Psychological and Social Dimensions of Medical Disorders By Hoyle Leigh, Pages 191-192